Tolterodine used in overactive bladder acts by blocking which of the following receptors?
1. M1
2. M2
3. M3
4. M4

Correct answer: 3. M3

Explanation: Selective M3 antagonists acting on GIT and bladder Selective M3 antagonists acting only on bladder (vesicoselective) Derifenacin Oxybutynin Solifenacin Flavoxate Tolterodine Trospium chloride